Most common variety of lung carcinoma in women and children is?
1. Small cell carcinoma
2. Adenocarcinoma
3. Squamous cell carcinoma
4. Large cell carcinoma

Correct answer: 2. Adenocarcinoma

Explanation: Ans. is 'b' i.e., Adenocarcinoma Remember* Adenocarcinoma is the overall most common type of lung carcinoma.* Adenocarcinoma is the most common type of lung carcinoma in non-smokers and females.* Squamous cell (epidermoid) carcinoma is the most common type of lung carcinoma in India.* Squamous cell carcinoma is the most common type of lung carcinoma in smokers and males.* M.C Variety in young Patients - Adenocarcinoma* Histological Variety that cavitates - Squamous cell Ca* M.C Histological variety to metastasize - Small cell Ca* Ca which metastasize to opposite lung - Adenocarcinoma* Clubbing least common in which Ca - Small cell Ca* Gynaecomastia is seen in which type of Ca - Large Cell Ca* Thrombophlebitis is seen with which Ca -Adenocarcinoma* Most common site for metastasis from ca lung - Brain* Lung Ca with worst prognosis - Small cell Ca* Variety most responsive to chemotherapy - Small cell Ca* Variety most responsive to radiotherapy - Small cell Ca* M.C Endocrine Gland to be involved by metastasis - Adrenal* Variety with best prognosis - Squamous cell Ca* Variety that is central in location - Squamous cell & small cell Ca* Variety that is peripheral in location - Adenocarcinoma* Most common variety with Cushings syndrome - Small cell Ca* Most common variety with Hypercalcemia d/t PTH like substance Secretion ^ Squamous cell Ca